Haemolysis in G6PD (glucose 6 phosphate dehydrogenase) enzyme deficiency may occur with all of the following drugs except:
1. Primaquine
2. Phenacetin
3. Probenecid
4. Penicillin

Correct answer: 4. Penicillin

Explanation: Ans. (d) Penicillin(Ref: Robbins 9th ed. Pg. 644-645)Penicillin causes hemolysis by mechanism of autoimmune hemolytic anemia and not G6PD deficiency mediated.